Continuous prophylactic anticonvulsant therapy is not needed in a child with febrile convulsion with?
1. Developmental delay
2. Family history of epilepsy
3. Typical simple Febrile fits
4. Persistent neurological deficit

Correct answer: 3. Typical simple Febrile fits

Explanation: Ans. (c) Typical Simple Febrile fitsRef.: OP Ghai 8th edj556-57* Prolonged anticonvulsant prophylaxis for preventing recurrent febrile convulsions is controversial and no longer recommended for most children.* Antiepileptics such as phenytoin and carbamazepine do not prevent febrile seizures. Phenobarbital prevents recurrent febrile seizures but may also decrease cognitive function in treated children compared with untreated children.